Zollinger- Ellison syndrome is due to increased secretion of
1. Gastrin
2. Secretin
3. VIP
4. Cholecystokinin

Correct answer: 1. Gastrin

Explanation: Gastrinoma (Zollinger-Ellison syndrome) is a condition that includes:Fulminating ulcer diathesis in the stomach, duodenum or atypical sites; Recurrent ulceration despite 'adequate' therapy; and Non-beta islet cell tumours of the pancreas (gastrinoma)Ref: Bailey and Love 27e pg: 850